Lepra cells seen in leprosy are:
1. Lymphocytes
2. Plasma cells
3. Vacuolated Histiocytes
4. Neutrophils

Correct answer: 3. Vacuolated Histiocytes